Von Willebrand's factor is synthesized in which one of the following -
1. Vascular endothelium
2. Macrophages
3. Liver
4. Eosinophils

Correct answer: 1. Vascular endothelium